A 5 year old boy has multiple asymptomatic oral and circular faintly hypopigmented macules with fine scaling on his face. The most probable clinical diagnosis is:
1. Pityriasis versicolor.
2. Indeterminate leprosy
3. Pityriasis alba
4. Acrofacial vitiligo

Correct answer: 3. Pityriasis alba